Double aorta occurs due to -
1. Non development of right 4th aortic arch
2. Non development of left 4th aortic arch
3. No division of truncus arteriosus
4. Persistence of distal portion of the right dorsal aorta

Correct answer: 4. Persistence of distal portion of the right dorsal aorta

Explanation: Ans. is 'd' i.e.. Persistence of distal portion of the right dorsal aorta o During 8th week of infra uterine life, the final fetal arterial arrangement is achieved.AORTIC ARCHFateIMaxillary arteryIIHyoid and stapedial arteriesIIICarotid arteriesIVLeft - Arch of aortaRight - Proximal part of right subclavianVDegeneratesVILeft - Proximal part forms left pulmonary artery and distal part persists as ductus arteriosusRight - Right pulmonary arteryVII intersegmentary arteryRight - Distal part of right subclavianLeft - Left subclaviano With a double aortic arch, the right dorsal aorta persists between the origin of the seventh intersegmentary artery and its junction with the left dorsal aorta. A vascular ring surrounds the trachea and esophagus and compresses these structures.